Initiation of nerve impulse occurs at the axon hillock because:
1. It has a lower threshold than the rest of the axon
2. It is unmyelinated
3. Neurotransmitter release occurs here
4. None of the above

Correct answer: 1. It has a lower threshold than the rest of the axon

Explanation: The membrane of the axon hillock/initial segment contains a high density of voltage-gated Na+ and K+ channels. These channels are fewer along the dendrites and cell body. The axon hillock has a lower threshold for firing an action potential. This region is also known as the trigger zone for the action potential. It requires a relatively low degree of depolarization for initiation of spike at the axon hillock/initial segment.